The most appropriate drug for emergency contraception is :
1. Misoprostol
2. Ethnyl estradiol
3. Levonorgesterel
4. Mifepristone

Correct answer: 3. Levonorgesterel

Explanation: Levonorgesterel